Which one of the following ollowing is true -
1. Agar has nutrient properties
2. Chocolate medium is selective medium
3. Addition of selective substances in a solid medium is called enrichment media
4. Nutrient broth is basal medium

Correct answer: 4. Nutrient broth is basal medium

Explanation: Ananthanarayan & Panicker's Textbook of Microbiology 9th edition pg no:39-40 Agar has no nutritive value it is formed from seaweeds.it is universally used to prepare solid media Chocolate agar is an eg of enriched media they are used to grow bacteria which are more extracting in their nutritional needs Enrichment media: some substances which added to a medium may inhibit the growth of the unwanted bacteria and absolutely increasing the number of wanted bacteria in the liquid media